The retina receives its blood supply from all, except:
1. Posterior ciliary artery
2. Central retinal artery
3. Retinal arteries
4. Plexus of Zinn and Haller arteries

Correct answer: 4. Plexus of Zinn and Haller arteries

Explanation: D i.e. Plexus of Zinn and Haller arteries The retina has dual blood supply, the choroidal circulation & central retinal arterial circulation. Uveal tract (choroids) is supplied by posterior ciliary arteries (long & short) and anterior ciliary arteriesQ. Posterior ciliary arteries do not supply retina directly, (but indirectly). Plexus of Zinn supply the optic disc (lamina cribrosa)(2)